Muscle(s) causing dorsiflexion of foot is/are -a) Extensor digitorum longusb) Extensor hallucis longusc) Flexor digitorum longusd) Flexor hallucis longuse) Tibialis anterior
1. ae
2. acd
3. abe
4. bcd

Correct answer: 3. abe

Explanation: Dorsiflexion of ankle joint is mainly by Tibialis anterior. It is also supported for the movement by extensor digitorum longus, extensor halluces longus and peroneus tertius.
Plantar flexion is mainly by soleus and gastrocnemius. It is supported for the movement by plantaris, flexor halluces longus, flexor digitorum longus and tibialis posterior.